Differentiation of hysterical fits from epileptic fit -
1. Occurs in sleep
2. Injuries to person
3. Incontinence
4. Occurs when people are watching

Correct answer: 4. Occurs when people are watching

Explanation: Hysterical fits (conversion seizure) never occur in sleep (epileptic fit can occur during sleep).
Injury, tongue biting and urinary incontinence are rare in conversion seizure (these can occur in epileptic fit).
Hysterical fits (conversion seizure) usually occur when people are observing (epileptic fit has no relation to people observation).
Hysterical fits usually occur in a safe place or indoor (epileptic fit can occur anywhere).
Hysterical fits have normal postictal serum prolactin (serum prolactin may increase in the post-ictal period of epileptic fit).
There is no or partial amnesia about the episode in conversion seizure (hysterical fits). True convulsion has complete amnesia.